Alopecia areata is not associated with which of the following condition?
1. Exclamation sign
2. Atopy
3. Pitting Nails
4. Geographical tongue

Correct answer: 4. Geographical tongue

Explanation: (Refer: Fitz Patrick’s Dermatology in General Medicine, 7th edition, pg no: 244-255)
3 Typical lesions of Dermatological diseases